Thumb printing sign on barium study is seen in -
1. Duodenal ulcer
2. Carcinoma stomach
3. Carcinoma head of pancreas
4. Ischemic Colitis

Correct answer: 4. Ischemic Colitis

Explanation: Ans. is 'd' i.e., Ischemic colitis o Signs of ischemic colitis:- Thumb printing, shallow ulcers (serrated mucosa), Bowel wall thickening of affected segment.Findings on barium studyBarium swallowo Bird beak appearance/ rat tail appearance - achlasia cardia/oesopgaeal carcinomao Cork screw esophagus/ curling esophagus/ nut crack esophagus - diffuse esophageal spasmBarium mealo String sign - congenital hypertrophic pyloric stenosiso Thumb print appearance - ischemic colitiso Inverted '3' sign of Frosberg - Ca head of pancreaso Widening of C loop of duodenum / antral pad sign - Ca head of pancreasBarium enemao Ileo-cecal TB & incompetent ileo-ceacal valve# Pulled up caecum# Obtuse ileo-coecal angle# Filling defectCarcinoma colono Apple core deformityo Irregular filling defectUlcerative colitiso Lead pipe appearanceo Loss of haustrationsCrohn's diseaseo String sign of Kantoro Raspberry thorn ulcerColonic polypso Smooth irregular filling defectHirschsprung diseaseo Dilated proximal zone with narrow distal zone of coningDiverticulosis of colono Saw tooth appearanceo Champagne glass signIschemic colitiso Thumb print appearanceIntussusceptionso Coiled spring appearanceo Claw signVolvuluso Bird beak sign